Aggravation of symptoms of angina in a patient when given nitrates is seen in -
1. Aortic regurgitation
2. Mitral regurgitation
3. Single left coronary artery stenosis
4. Idiopathic hypertrophic subaortic stenosis

Correct answer: 4. Idiopathic hypertrophic subaortic stenosis